50 year old male with Gastroesophageal reflux disease- Diagnosis?
1. Squamous metaplasia
2. Columnar metaplasia
3. Dysplasia
4. Malignancy

Correct answer: 2. Columnar metaplasia

Explanation: Ans. (b) Columnar metaplasia Histological findings of barrett esophagusMetaplastic columnar epithelium (specialized) with goblet cells is seen adjacent to squamous epithelium of esophagus hence suggestive of columnar metaplasiaLong-segment: Barrett's mucosa extends 3 cm or more. Short-segment: Barrett's mucosa extends less than 3 cm